Drug causing Osmotic Diuresis is
1. Mannitol
2. Isosorbide
3. Glycerol
4. All of the above

Correct answer: 4. All of the above

Explanation: (D) All of the above > Mannitol, isosorbide, Glycerol all cause osmotic diureris.